The antimicrobial agent which inhibits the ergosterol biosynthesis is
1. Ketaconazole
2. Amphotercin B
3. 5-flucytosine
4. Grisefulvin

Correct answer: 1. Ketaconazole

Explanation: Refer KDT 6/e 761 Azoles act by inhibiting an enzyme, lanosterol -14-alpha -demethylase. This enzyme is involved in formation of ergosterol Amphotercin B acts6by binding to ergosterol and forming pores in fungal cell membrane